Postural hypotension is not seen in -
1. Diabetes
2. Hypoglycemia
3. Tabes dorsalis
4. Anti hypertensive drugs

Correct answer: 2. Hypoglycemia